CAP in Lac operon is an example of:
1. Positive regulator
2. Negative regulator
3. Constitutive expression
4. Attenuation

Correct answer: 1. Positive regulator

Explanation: A i.e. Positive regulator